True regarding aminoacyl t-RNA synthetase is A/E
1. lsoaccepting t RNA
2. Implement genetic code
3. Attachment of amino group to 5' end
4. Editing function

Correct answer: 3. Attachment of amino group to 5' end

Explanation: C i.e. Attachment of amino group to 5' end